Which of the following medications shortens the recovery period of primary Herpetic gingivostomatitis?
1. Acyclovir
2. Ziduvidine
3. Kenalog in orabase
4. All of the above

Correct answer: 1. Acyclovir